Amenorrhoea due to high LH and FSH is due to:
1. Asherman's syndrome
2. Pituitary adenoma
3. Ovarian failure
4. All

Correct answer: 3. Ovarian failure

Explanation: Ovarian dysfunction:
Group I- Hypthalamic -pituitary failure, e.g anorexia nervosa, Kallman's syndrome, Sheehan's syndrome
Group II- Ovarian failure, e.g. Turner syndrome pure gonadal dysgenesis, Swyer syndrome, autoimmune disorders infection, radiotherapy or chemotherapy.
Group III- Congenital or acquired genital tract disorders
Group V – Hyperprolactinaemia with aspace occupying lesion (SOL) in the hypothalamic pituitary region, e.g. pituitary adenoma.
Group VI – Amenorrhoea with an SOL in the hypothalamic-pituitary region with normal or low PRL, e.g craniopharyngioma.
Group VII – Hypothalamic-pituitary failure, e.g polycystic ovarian syndrome (PCOS) congenital adrenal hyperplasia (CAH), adrenal tumours, androgen-producing ovarian tumours.